What is / are the common manifestations of a kidney disease ?
1. hypertension only
2. Neither renal oedema nor hypertension
3. renal oedema only
4. Both renal oedema and hypertension

Correct answer: 4. Both renal oedema and hypertension

Explanation: Common manifestations of a kidney disease are renal oedema and hypertension. Raised blood urea indicates suppressed kidney function and renal failure. Ref : B D Chaurasia's Human Anatomy , seventh edition , volume 2 , pg. no., 347.